The most common nerve involved in Volkamaun's ischaemic contracture of forearm includes -
1. Radial
2. Ulnar
3. Median
4. Posterior nterosseous

Correct answer: 3. Median

Explanation: Median nerve is the most commonly involved nerve in VIC.
Other nerve involved is ulnar nerve.